In a case of tuberculosis of the thoracic spine, the earliest sign of cord compression is:
1. Bladder dysfunction
2. Extensor plantar
3. Motor weakness
4. Sensory loss

Correct answer: 2. Extensor plantar

Explanation: Ans. b. Extensor plantar